Upper limb deformity in Erb's palsy?
1. Adduction and lateral rotation of arm
2. Adduction and medial rotation of arm
3. Abduction and lateral rotation of arm
4. Abduction and medial rotation of arm

Correct answer: 2. Adduction and medial rotation of arm

Explanation: Deformity in Erb's palsy (position of the limb):Arm: Hanges by the side; it is adducted & medially rotatedForearm: Extended and pronatedThe deformity is known as 'policeman's' tip hand or 'porter's tip hand'